An ovarian neoplasm in a 14-year-old girl is most likely to be
1. Germ cell tumour
2. Epithelial tumour
3. Sertoli-Leydig cell tumour
4. Granulosa cell tumour

Correct answer: 1. Germ cell tumour

Explanation: Germ cell tumours of the ovary are rare. They usually affect younger women and most can be cured. Many germ cell tumours are not cancer (benign), but some are cancer (malignant). The symptoms include: pain or a feeling of pressure in the pelvis or tummy a feeling of fullness or gradual swelling of the tummy irregular periods or signs of pregnancy high temperatures (fevers), chills, feeling or being sick and pain in the abdomen